Which of the following electrolyte abnormalities can be seen after brain injury?
1. Hyponatremia
2. Hyperkalemia
3. Hypomagnesemia
4. All the above

Correct answer: 4. All the above

Explanation: Ans. is 'd' i.e., All the above Electrolyte abnormalities seen in brain injury* Electrolyte abnormalities occur in 60% of the patients with head injury.* Hyponatremia is the most common electrolyte abnormality seen and is often secondary to SIADH.* Other Electrolyte disorders including hypernatremia, hypokalemia, hyperkalemia, hypophosphatemia and hypomagnesemia are also common after acquired brain injury.